The most common organism causing acute tonsillitis is:
1. Staph aureus
2. Anaerobes
3. Hemolytic streptococci
4. Pneumococcus

Correct answer: 3. Hemolytic streptococci

Explanation: Group A beta hemolytic streptococci is the M/C bacteria causing acute tonsillitis. other causes are: staph aureus pnuemococci H. Influenza Ref Dhingra 5/e,p 341,6/e,p 288.